Breathing movements and swallowing movement seen in the fetus by :
1. 13-14 weeks
2. 16 weeks
3. 12 weeks
4. 20 weeks

Correct answer: 3. 12 weeks

Explanation: 12 weeks